Mechanism of action of spermicide is :
1. Activating acrosomal enzyme
2. Inhibit glucose transport enzyme
3. Disrupting cell membrane motility
4. Vaginal enzyme alteration

Correct answer: 3. Disrupting cell membrane motility

Explanation: Disrupting cell membrane motility